Which of the following is not alkylating agent?
1. Chlorambucil
2. Ifosfamide
3. Nitrosurea
4. Cladrabine

Correct answer: 4. Cladrabine

Explanation: Ans. is 'd' i.e., Cladrabine